All are Essential fatty acids EXCEPT
1. Linoleic acid
2. Linolenic acid
3. Arachidonic acid
4. Glutamic acid

Correct answer: 4. Glutamic acid

Explanation: Ans. (d) Glutamic acidRef: K. Park 23rd ed. / 609-10* Essential fatty acid are# Linoleic Acid: most essential fatty acid# Linolenic Acid# Arachidonic acid# Eicosapentanoic acid# DHA* Richest source of essential fatty acid: Safflower oil* Richest source of saturated fatty acid: coconut oil* Richest source of MUFA: groundnut oil.